Which of the following is true about direct filling gold?
1. Properly condensed mat gold has no voids
2. Whatever may be the type, voids are inherent
3. Voids can be avoided with manual condensation
4. None of the above

Correct answer: 2. Whatever may be the type, voids are inherent

Explanation: Porosity is likely to occur in all direct gold restorations. Each type of gold requires a slight variation in technique to avoid either closed pores or open pores that intersect the surface.
Ref: Phillips 12 ed page no 414,415